Drug of choice for treatment of gastrointestinal stromal tumors is:
1. Rituximab
2. Imatinib mesylate
3. Anagrelide
4. Denileukin diftitox

Correct answer: 2. Imatinib mesylate

Explanation: Ans: B (Imatinib mesylate) Ref: Goodman & Gillman, The pharmacological basis of therapeutics, 12th edition, Pg No. 1732-1734.Explanation:Imatinib mesylate is used in the treatment of (Approved indications)Chronic phase of CIVILGIST- Gastrointestinal Stromal tumorChronic Myelomonocytic leukemiaHypereosinophilic syndromeDermatofibrosarconia protruberanceProgressive plexiform neurofibromatosisIt is also tried in (Experimental and Not approved for routine use)Systemic MastocytosisPulmonary hypertensionAlzheimer' s diseaseLowering or reversing opioid toleranceDesmoid tumor